Keratometry is done to assess:
1. Corneal sensation
2. Corneal endothelium
3. Corneal thickness
4. Curvature of cornea

Correct answer: 4. Curvature of cornea

Explanation: Keratometry measures the curvature of cornea e.g. Placido's disc, Orb Scan, Pentacam Placido's Disc Aesthesiometer is used to measure corneal sensation Specular microscopy is used for corneal endothelium - count and morphology of endothelial cells Pachymeter is used for measuring corneal thickness.